A 1 -year-old child is brought to the hospital with thyroid swelling. The child has abnormal weight gain and has poor activities. His TSH is found raised and T4 is very low. Which of the following is most likely cause of his disease?
1. Hypothalamic disease
2. Thyroid dysgenesis
3. Dyshormonogenesis
4. End organ receptor insensitivity

Correct answer: 3. Dyshormonogenesis

Explanation: c. Dyshormonogenesis(Ref: Nelson's 20/e p 2669-2773, Ghai 8/e p 516-521)Most common cause of congenital hypothyroidism in a child with goiter is Thyroid dyshormonogenesis.